Schwartz sign is seen in
1. Otosclerosis
2. Meniere's disease
3. ASOM
4. CSOM

Correct answer: 1. Otosclerosis

Explanation: (A) Schwartz sign also known as Flemingo's pink sign, is a diagnostic indicator for otosclerosis, a disease of the bones of the middle or inner ear. In clinical examination of the ear drum, increased vascularity of the promontory may be seen through the ear drum.